Which of the following belongs to category-B of bioterrorism -
1. Cholera
2. Anthrax
3. Plague
4. Botulism

Correct answer: 1. Cholera